A 27 year old man develops bilateral parotid gland swelling and orchitis, and is generally ill with fever of 102deg F. Which of the following substances is most likely to be significantly elevated in the patient's serum?
1. Alanine aminotransferase (ALT)
2. Amylase
3. Aspartate aminotransferase (AST)
4. Ceruloplasmin

Correct answer: 2. Amylase

Explanation: The disease is mumps, caused by a paramyxovirus. In children, mumps causes a transient inflammation of the parotid glands, and less commonly, the testes, pancreas, or central nervous system. Mumps tends to be a more severe disease in adults than in children. Mumps in adults involves the testes (causing orchitis) and pancreas with some frequency. Pancreatic involvement can cause elevation of serum amylase.. ALT and AST are markers for hepatocellular damage. Ceruloplasmin is a copper-carrying protein that is decreased in Wilson's disease. Ref: Ray C.G., Ryan K.J. (2010). Chapter 10. Mumps Virus, Measles, Rubella, and Other Childhood Exanthems. In C.G. Ray, K.J. Ryan (Eds), Sherris Medical Microbiology, 5e.